Causative agent of plague -
1. Yersinia pestis
2. Yersinia enterocolitica
3. Yersinia pseudotuberculosis
4. Pasteurella septica

Correct answer: 1. Yersinia pestis

Explanation: Ans. is 'a' i.e., Yersinia pestis o Infection caused by yersinia genus are divided intoPlague It is a deadly infectious disease caused by yersinia pestis.Vers in os isIt is characterized by infectious diarrhea, enteritis, ileitis and occasionally septicemia. It is caused by yersinia enterocolitica (most common) and yersinia pseudotuberculosis.